A 60-year-old male presents with hematuria, weight loss. Cystoscopy biopsy of the superficial lesion in bladder shows hyperchromatic nucleus, increased nuclear - cytoplasmic ratio, the lesion involves full thickness of epithelium but doesn't invade basement membrane. The diagnosis is:
1. Dysplasia
2. Metaplasia
3. Bladder carcinoma in situ
4. Micro invasion

Correct answer: 3. Bladder carcinoma in situ

Explanation: Ans. (c) Bladder Carcinoma in situRef: Bailey 26th Edition, Page 1333* Carcinoma in situ stands when the lesion does not invade basement membrane.